Maximum chance of spread in accidental needle stick injury is?
1. Hepatitis B
2. HIV
3. Hepatitis C
4. EBV

Correct answer: 1. Hepatitis B

Explanation: Percentage of chances of transmission of infection with accidental stick injury HBsAg positive and HBeAg Positive 22-30% HBsAg positive and HBeAg Negative 1-6% Hepatitis C 1.8-3% HIV 0.3%